Carbamoyl phosphate synthase I is used in
1. Purine synthesis
2. Pyrimidine synthesis
3. Urea cycle
4. Uronic acid pathway

Correct answer: 3. Urea cycle

Explanation: Carbamoyl phosphate synthase 1 convert CO2 + NH4 to Carvomyl phosphate Ref-Harpers illustrated biochemistry 30/e p680